What is true regarding Diphtheria ?
1. Nasal carriers are more dangerous than cases
2. Immunization prevent carrier state
3. Cases are most important as source of infection
4. Hemagglutination test has been replaced by Schick test

Correct answer: 1. Nasal carriers are more dangerous than cases

Explanation: Diphtheria Causative agent - Corynebacterium diphtheria, a gram + bacilli, non-motile organism . Incubation period 2-6 days Immunization does not prevent carrier state. Carriers are more important source of infection (dangerous) than cases.